Hepatitis B associated with ?
1. Wegener's granulomatosis
2. Systemic lupus erythmatosus
3. Polyarteritis nodosa
4. Sjogren syndrome

Correct answer: 3. Polyarteritis nodosa

Explanation: Ans. is 'c' i.e., Polyatrteritis nodosa The hepatitis B surface antigen is present in 25% of patients with Polyarteritis Nodosa. Hepatitis C antibody is present in patients with essential mixed cryoglobinuria and rarely in patients with poly arteritis nodosa.